How soon after a moisture contamination does a zinc containing amalgam alloy start expanding:
1. 24 hours
2. 1-2 days
3. 3-5 days
4. 7 days

Correct answer: 3. 3-5 days